Vitamin K is involved in post-translation modification of
1. Glutamate
2. Aspartate
3. Lysine
4. Proline

Correct answer: 1. Glutamate

Explanation: Vitamin K has an important role in the blood clotting process. It brings about the posttranslational modification of certain blood clotting factors clotting factor II (prothrombin), factor VII (SPCA) factor IX (Christmas factor) factor X (Stuart prower factor) Vitamin K is required for the post-translational carboxylation of glutamic acid (Gamma Carboxylation), which is necessary for calcium binding to g carboxylated proteins clotting factors are synthesized as inactive precursors (zymogens) in the liver ref DM Vasudevan 8th ed page 462